The following can be used as a yardstick for the assessment of standards of therapy?
1. Specific death rate
2. Case fatality rate
3. Propotional mortality rate
4. Survival rate

Correct answer: 4. Survival rate

Explanation: ref: Park's 23rd edition pg 58 It is the proportion of survivors in a group (eg: patients) studied and followed over a period. the survival period is usually reckoned from the date of diagnosis or the start of treatment. mostly applied in cancer studies.